Which of the following best describes adenovirus?
1. Nonenveloped, double-stranded DNA virus with fibers at its vertices
2. Nonenveloped, double-stranded, circular DNA virus
3. Enveloped, single-stranded, negative-sense RNA virus
4. Enveloped, double-stranded, linear DNA virus with glycoprotein spikes

Correct answer: 1. Nonenveloped, double-stranded DNA virus with fibers at its vertices